Which Immunoglobulin is involved in anaphylaxis:
1. IgA
2. IgE
3. IgG
4. IgM

Correct answer: 2. IgE

Explanation: Ans. B: IgE